Regarding HIV which of the following statement is not TRUE?
1. It is a DNA retrovirus
2. Contains Reverse Transcriptase
3. May infect host CD4 cells other than T-lymphocytes
4. Causes a reduction in host CD4 cells at late stage of disease

Correct answer: 1. It is a DNA retrovirus

Explanation: The genome of HIV is diploid, composed of 2 identical single stranded positive sense RNA copies. In association with viral RNA is the reverse transcriptase enzyme which is the characteristic feature of retroviruses. Pathogenesis: When virus infects a cell RNA, viral RNA is transcribed by the enzyme, first to single stranded DNA and then to double stranded DNA which is integrated into the host cell chromosome. The provirus initiate viral replication by directing synthesis of viral RNA and other components. When naked virus buds outs through host cell surface membrane, it acquires a lipoprotein envelope which consist of lipid derived from the host cell membrane and glycoprotein which are virus coded. The spikes which constitute the major surface component of the virus, binds to CD4 receptors on susceptible host cells. The transmembrane pedicle cause cell fusion. Ref: Ananthanarayan and Panicker's Textbook of Microbiology, 8th Edition, Page 395